Source of ATP in RBCs is?
1. Beta oxidation of fatty acids
2. TCA cycle
3. Anaerobic glycolysis
4. Gluconeogensis

Correct answer: 3. Anaerobic glycolysis

Explanation: Ans. (c) Anaerobic glycolysisRef. Harper's Biochemistry 27/e Chapter 51